AH are live vaccines except:
1. BCG
2. Salk vaccine
3. Measles
4. Mumps

Correct answer: 2. Salk vaccine

Explanation: Ref: A nanthanarayan, Paniker CJ. Textbook of microbiology. 8th Edition. London: John Wiley & Sons: 2009. Pg. 88. 451Explanation:Types of vaccines (See the following table)